The most common site of metastasis from the mandibular sarcoma is
1. Lung
2. Liver
3. Spleen
4. Heart

Correct answer: 1. Lung